Which thyroid malignancy can present with diarrhea?
1. Papillary carcinoma
2. Follicular carcinoma
3. Medullary carcinoma
4. Hurthle cell carcinoma

Correct answer: 3. Medullary carcinoma

Explanation: A patient with a sporadic medullary thyroid cancer typically has one of two manifestations: a palpable mass in the thyroid that is present in most cases and for which a diagnosis can be made with FNA with immunohistochemistry or the finding of an elevated calcitonin level This calcitonin excess may rarely result in symptoms of diarrhea and flushing in patients with advanced disease Source : Sabiston 20th edition Pg : 909